Respiratory symptoms are associated with -
1. Rocky mountain spotted fever
2. Strongyloides
3. T. Solium
4. Onchocerca

Correct answer: 2. Strongyloides

Explanation: Pulmonary symptoms of strongyloides During escape of the larvae from the pulmonary capillaries into the alveoli, small haemorrhages occur, along with cellular infiltration into alveoli and bronchioles. Bronchopneumonia may be present, which may, in some go on to chronic bronchitis and asthmatic symptoms. Larvae may be found in the sputum.